In hyperosmolar hyperglycemic non ketotic coma the blood glucose level is around -
1. 55 mmol/l
2. 20 mmol/l
3. 80 mmol/l
4. 5 mmol/l

Correct answer: 1. 55 mmol/l